Cafe au lait macules are seen in:
1. Neurofibromatosis
2. Albright syndrome
3. Bloom syndrome
4. All of the above

Correct answer: 4. All of the above

Explanation: The pigmented macules or café-au-lait spots are related to increased amounts of melanin in the basal cells of the epidermis. Cafe au lait macules are seen in:

Neuroﬁbromatosis
Albright syndrome
Bloom syndrome

Ref: Shafer's textbook of oral pathology 7th edition page 714